Aspirin should be used with caution in the following groups of patients because of which of the following reason:
1. In diabetics because it can cause hyperglycemia
2. In children with viral disease, because of the risk of acute renal failure
3. In gout, because it can increase serum uric acid
4. In pregnancy, because of high risk of teratogenicity

Correct answer: 3. In gout, because it can increase serum uric acid

Explanation: Aspirin- Urate excretion: Aspirin in high dose reduces renal tubular excretion of urate- dose more than 5 grams per day- that is more than the antiinflammatory dose ESSENTIALS OF MEDICAL PHARMACOLOGY;7TH EDITION; KD TRIPATHI; PAGE NO 195